All of the following are having stimulatory action on glucagon secretion, EXCEPT:
1. Secretin
2. Beta agonist
3. Exercise
4. Amino acids

Correct answer: 1. Secretin

Explanation: Factors stimulate glucagon secretion: Amino acids (particularly the glucogenic amino acids: alanine, serine, glycine, cysteine, and threonine) CCK, gastrin Cortisol Exercise Infections Beta adrenergic stimulators Theophylline Acetylcholine Inhibitors of glucagon secretion: Glucose Somatostatin Secretin FFA Ketones Insulin Phenytoin Alpha adrenergic stimulators GABA Ref: Barrett K.E., Barman S.M., Boitano S., Brooks H.L. (2012). Chapter 24. Endocrine Functions of the Pancreas & Regulation of Carbohydrate Metabolism. In K.E. Barrett, S.M. Barman, S. Boitano, H.L. Brooks (Eds), Ganong's Review of Medical Physiology, 24e.